All of the following reduce T4 absorption except:
1. Metformin
2. Iron salts
3. Raloxifene
4. Colesevelam

Correct answer: 1. Metformin